Fastest and briefest action occurs in
1. Atropine
2. Homatropine
3. Tropicamide
4. Cyclopentolate

Correct answer: 3. Tropicamide

Explanation: (Tropicamide): (118-KDT 7th edition)TROPICAMIDE - has quickest (20-40 min) and briefest (3-6 hours) action but is a relatively unreliable cycloplgic* It is satisfactory for refraction testing in adults and as a short acting mydriatic for fundoscopy* The mydriatic action can be augmented by combining with phenylephrine